Commonest complication after removal of mandibular 3rd molar
1. Lingual nerve damage
2. Dry socket
3. # mandible
4. Bleeding

Correct answer: 2. Dry socket